Serum total lactate dehydrogenase level will NOT be raised in -
1. Muscle crush injury
2. Stroke
3. Myocardial infarction
4. Hemolysis

Correct answer: 2. Stroke